Which of the following is not a central characteristic of childhood autism?
1. Impaired social interaction
2. Impaired communication
3. Restricted, repetitive behaviour
4. Callous and unemotional traits

Correct answer: 4. Callous and unemotional traits

Explanation: Callous and unemotional traits (CU) are distinguished by a persistent pattern of behavior that reflects a disregard for others, and also a lack of empathy and generally deficient affect seen in conduct disorder and antisocial personality disorder. Reference: GHAI Essential pediatrics, 8th edition